Which of the following is not a cause of metabolic alkalosis?
1. Vomiting
2. Fever
3. Renal failure
4. Both 2 & 3

Correct answer: 4. Both 2 & 3

Explanation: Causes of Respiratory Acidosis: (pH ↓, CO2 ↑)

Hypoventilation
Pulmonary edema
COPD
Airway obstruction
Neuromuscular diseases

Causes of Metabolic Acidosis: (pH ↓, HCO3 ↓)

Diabetic Ketoacidosis
Salicylate overdose
Diarrhoea
Shock
Sepsis
Renal failure

Causes of Respiratory Alkalosis: (pH ↑, CO2 ↓)

High altitudes
Pregnancy
Hypoxia
Fever

Causes of Metabolic Alkalosis: (pH ↑, HCO3 ↑)

Vomiting
Excessive ingestion of alkali
Cortisone excess